Bence Jones proteinuria may be seen in:
1. Alpha heavy chain disease
2. Gamma heavy chain disease
3. Mu heavy chain disease
4. Epsilon heavy chain disease

Correct answer: 3. Mu heavy chain disease